Cisplatin does not cause :
1. Cardiomyopathy
2. Nephrotoxicity
3. Neuropathy
4. Tinnitus

Correct answer: 1. Cardiomyopathy